A pregnant woman with fibroid uterus develops acute pain in abdomen with low grade fever and mild leucocytosis at 28 weeks. The most likely diagnosis is:
1. Preterm labour
2. Torsion of fibroid
3. Red degeneration of fibroid
4. Infection in Fibroid

Correct answer: 3. Red degeneration of fibroid

Explanation: Red degeneration This complication occurs during pregnancy (2nd trimester) Myoma becomes tense and tender Symptoms: Abdominal pain, constitutional upset and fever Rx :bed rest and analgesics. Never operate In case of torsion of fibroid, severe abdominal pain is there but fever and raised leucocyte count is not seen. Fibroids in pregnancy can cause Abortions Fetal malpresentations Obstructed labour Abruption Postpartum hemorrhage Red Degneration Myomas in the uterine incision area may make it impossible to make a lower segment incision and hence an upper (Classical) incision is often required. Fibroids may also impair the uterine retraction after delivery/LSCS and may hence predispose to more cesarean Hysterectomies.